Decarboxylation reactions require
1. Riboflavin
2. Thiamine
3. Niacin
4. Biotin

Correct answer: 2. Thiamine

Explanation: Pyruvate dehydrogenase: The co-enzyme form is thiamine pyrophosphate (TPP). It is used in oxidative decarboxylation of alpha-keto acids, e.g. pyruvate dehydrogenase catalyzes the breakdown of pyruvate, to acetyl CoA and carbon dioxide (see Fig. 9.22).Alpha-ketoglutarate dehydrogenase: an analogous biochemical reaction that requires TPP is the oxidative decarboxylation of alpha-ketoglutarate to succinyl CoARef: DM Vasudevan - Textbook of Biochemistry, 7th edition, page no: 478